Hypokalemia is defined as a plasma potassium concentration of
1. < 3.5 mmol/L
2. < 3.6 mmol/L
3. < 3.7 mmol/L
4. < 3.8 mmol/L

Correct answer: 1. < 3.5 mmol/L

Explanation: Hypokalemia, defined as a plasma K+ concentration of <3.5 mM, Hyperkalemia is defined as a plasma potassium level of 5.5 mM Ref: Harrison 19e pg: 305